Fordyce spots are?
1. Ectopic sebaceous glands
2. Ectopic eccrine
3. Ectopic apocrine
4. Ectopic mucosal glands

Correct answer: 1. Ectopic sebaceous glands

Explanation: Fordyce's spots are ectopic sebaceous glands which appear as whitish-yellow bumps on the edge of your lips (most common) / inside your cheeks/penis/scrotum/labia DD of Koplik's spots (pathognomonic of measles) Miliaria occurs due to obstruction of eccrine sweat glands. Fox Fordyce disease occurs due to obstruction of apocrine glands.